Commonest malignant tumor of skeletal system ?
1. Multiple myeloma
2. Metastasis
3. Osteosarcoma
4. Chondrosarcoma

Correct answer: 2. Metastasis

Explanation: Ans. is `b' i.e., Metastasis Commonest bone malignancies -Secondaries Commonest primary malignant tumor - A- Multiple myeloma Commonest primary malignant tumor - Osteosarcoma of long bones Commonest benign tumor of bone - - Osteochondroma (Osteochondroma is not true neoplasm since its growth stops with cessation of growth at the epiphyseal plate) Commonest true benign tumor of bone - Osteoid osteoma Commonest benign tumor of hand - Enchondroma